What is net production rate?
1. Number of children a newborn girl has in her life time
2. Number of female children a newborn girl has in her life time
3. Number of male children a newborn girl has in her life time
4. Number of female children a newborn girl has in her life time taking into account the mortality

Correct answer: 4. Number of female children a newborn girl has in her life time taking into account the mortality

Explanation: Net Reproduction Rate (NRR) Net Reproduction Rate (NRR) is defined as the number of daughters a newborn girl will bear during her lifetime assuming fixed age-specific fertility and mortality rates. NRR is a demographic indicator. NRR of 1 is equivalent to attaining approximately the 2-child norm. If the NRR is less than 1, then the reproductive performance of the population is said to be below replacement level. Ref: Park 25th edition Pgno : 540